True about iliotibial tract all except?
1. Receives insertion of gluteus maximus
2. Derived from fascia lata
3. Inserted on lateral tibial condyle
4. None

Correct answer: 4. None

Explanation: Iliotibial TractThe fascia lata is thickened laterally where it forms a 5 cm wide band called the iliotibial tract.Superiorly the tract splits into two laters.The superficial lamina is attached to tubercle of iliac crest, and deep lamina to the capsule of hip joint.Inferiorly, the tract is attached to a smooth area on anterior surface of the lateral condyle of tibia.The importance of the iliotibial tract is as follows.a) Two important muscles are inserted into its upper part, between the superficial and deep laminae. These are the three-fourths part of the gluteus maximus; and the tensor fasciae latae.b) The iliotibial tract stabilizes the knee both in extension and in partial flexion; and is, therefore, used constantly during walking and running.